Baroreceptor stimulation producesa) Decreased heart rate & BPb) Increased heart rate & BPc) Increased cardiac contractilityd) Decreased cardiac contractility
1. b
2. c
3. ac
4. ad

Correct answer: 4. ad

Explanation: Baroreceptors are present in carotid sinus and aortic arch. Increase in BP activates them which results in decrease in the sympathetic discharge. This leads to decrease in cardiac contraction, heart rate and BP.